The conus arteriosus is derived from which of the following?
1. Truncus arteriosus
2. Bulbus cordis
3. Primitive ventricle
4. Primitive atrium

Correct answer: 2. Bulbus cordis

Explanation: B. The smooth part of the right ventricle, known as the conus arteriosus, is derived from the bulbus cordis